A 5 year old has burn on the surface of his body corresponding to the size of his palm. The percentage of burns is?
1. 1%
2. 5%
3. 10%
4. 9%

Correct answer: 1. 1%

Explanation: Reff: The snopsis of forensic medicine& Toxicology 28th edition pg: 165 Palmar surface of patient's hand is about 1% of body surface area.